Causes for reduced bioavailability include
1. high first pass metabolism
2. increased absorption
3. high lipid solubility
4. non ionization

Correct answer: 1. high first pass metabolism

Explanation: Ref-KDT 7/e p18 the causes of low availability are reduced absorption highfirst pass metabolism